Hapsburg jaw:
1. Class III
2. Class II division 1
3. Class I
4. Class II division 2

Correct answer: 1. Class III